All of the following drugs can worsen psoriatic lesion, except –
1. Chloroquine
2. Beta-blockers
3. Acitretin
4. Lithium

Correct answer: 3. Acitretin

Explanation: Acitretin is used in the treatment of psoriasis.